What is false about mafenide acetate?
1. Painful
2. Deeper penetration
3. Metabolic acidosis
4. Immunodulatory action

Correct answer: 4. Immunodulatory action

Explanation: Cerium nitrate has Immunodulatory action.